In firearm injury, entry-wound blackening is due to :
1. Flame
2. Hot gases
3. Smoke
4. Unburned powder

Correct answer: 3. Smoke

Explanation: C i.e. Smoke - The blackening of entery wound is due to fine carbon particles in smokeQ. Grease (abrasion) collar is seen in firearm entry woundQ. - Bevelling of skull is seen in exit wound (point) of bulletQ.